Tricyclic antidepresents have all of the following actions except:
1. Anti cholinergic action
2. Anti MAGI action
3. Blocks 5 HT or NE reuptake
4. Causes sedation

Correct answer: 2. Anti MAGI action

Explanation: B i.e. Anti - MAOI action